Ankle-brachial pressure index (ABPI)less than 0.3 indicates
1. Normal value
2. Claudication
3. Rest pain
4. Imminent necrosis

Correct answer: 4. Imminent necrosis

Explanation: Ankle-brachial pressure index (ABPI) is the ratio of systolic pressure at the ankle to that in the ipsilateral arm.> 1.3Calcified, incompressible arteries that are often found in diabetic patients.0.9 - 1.3 Normal< 0.9 Claudication< 0.5Rest pain< 0.3 Imminent necrosisRef: Bailey and love pg: 945